Which drug among the following does not inhibit platelet aggregation?
1. Aspirin
2. Celecoxib
3. Ibuprofen
4. Clopidogrel

Correct answer: 2. Celecoxib

Explanation: The selective COX-2 inhibitor (celecoxib) act primarily by inhibiting the cyclooxygenase enzymes that catalyze the first step in prostanoid biosynthesis. This leads to decreased prostaglandin  synthesis with both ​beneficial  and  unwanted  effects. ​
Reference: Lippincott Illustrated Reviews: Pharmacology Wolters Kluwer Sixth Edition page no 451; ​